All are used in treating spasmodic dysmenorrhoea except :
1. Bromocriptine
2. Ibuprofen
3. Mefenamic acid
4. Norethisterone and ethinyl estradiol

Correct answer: 1. Bromocriptine

Explanation: Ans. is a i.e. Bromocriptine